The one organism which is responsible for coronary artery disease -
1. Chlamydia
2. Klebsiella
3. E. coli
4. Mycoplasma

Correct answer: 1. Chlamydia